Hyperacusis is seen in all of the following except:
1. Exposure to loud sounds
2. Otosclerosis
3. Meniere's disease
4. Severe head injury

Correct answer: 2. Otosclerosis

Explanation: Hyperacusis is characterized by an over-sensitivity to certain frequency ranges of sound (a collapsed tolerance to normal environmental sound). Hyperacusis can be acquired as a result of: The most common cause of hyperacusis is overexposure to excessively high decibel levels (or sound pressure levels). Migraine Severe head trauma Facial nerve dysfunction (to Stapedius) Tension Myositis Syndrome Adverse drug reaction Autism Bell's palsy Meniere's disease Asperger syndrome In cochlear hyperacusis (the most common form of hyperacusis), the symptoms are ear pain, annoyance, and general intolerance to any sounds that most people don't notice or consider unpleasant. In vestibular hyperacusis, the sufferer may experience feelings of dizziness, nausea, or a loss of balance when certain pitched sounds are present. Otosclerosis presents with hearing loss (bilateral and conductive type) and paracusis willisii (patient hears better in noisy environment).